Hemorrhagic disease of the newborn is attributed to the deficiency of?
1. Vitamin A
2. Vitamin E
3. Vitamin K
4. Vitamin C

Correct answer: 3. Vitamin K

Explanation: Ans. (c) Vitamin K* Vitamin K is produced by our gut flora. The gut of a New-born baby is sterile and hence no vitamin K is being produced. Moreover vitamin k is negligible in breast milk. In lieu of these factors all babies are susceptible to development of Hemorrhagic disease of New-born.* To prevent this from happening therefore, as standard operating procedure in all hospitals injection vitamin K 1 : 1 mg intramuscular is given to prevent hemorrhagic disease of new born referred to as H.D.N.* In our country where a large number of children are born via home deliveries, no vitamin K would be given to the child and therefore the child may be brought to the hospital on day 5 with umbilical stump bleeding.* For management: the child should be given injection vitamin K lmg intravenously. If bleeding is still present then FFP needs to be administered.Previous Year Questions on Topic: Bleeding Disorders in Children* Type of vitamin K used for treatment of H.D.N= vitamin K1* Umbilical stump bleeding in child on day 1 of life= factor 13 deficiency* Umbilical stump bleeding in child on day 5 of life= H.D.N* Male baby with excessive circumcision bleeding= hemophilia A* Vaginal bleeding in a girl child on day 5 of life= No intervention required